Most common type of intellectual disability –
1. Mild
2. Moderate
3. Severe
4. Profound

Correct answer: 1. Mild